Rapidly progressive glomerulonephritis is characterised by -
1. Cresents
2. Splitting of basement membrane
3. Neutrophil infilteration of the mesangium
4. Glomerulosclerosis

Correct answer: 1. Cresents

Explanation: Ans. is 'a' i.e., Cresents